Klinefelter syndrome is dignosed by ?
1. Karyotyping
2. USG abdomen
3. Triple test
4. Echocardiography

Correct answer: 1. Karyotyping

Explanation: Ans. is 'a' i.e., Karyotyping